Wormian bones are seen in all except
1. Osteogenesis imperfecta
2. Pyknodysostosis
3. Cretinism
4. Renal osteodystrophy

Correct answer: 4. Renal osteodystrophy

Explanation: Ans: d (Renal osteodystrophy) Ref: O.P. Ghai, ed, p. 482Important causes of wormian bonesHypothyroidism/ cretinismHypophosphatasiaRicketsCleido-craniodysostosis / pyknodysostosisOsteogenesis imperfecta